Which of the following region of spine is most commonly affected in rheumatoid arthritis?
1. Cervical spine
2. Thoracic spine
3. Lumbar spine
4. Sacral spine

Correct answer: 1. Cervical spine

Explanation: Rheumatoid arthritis principally involves atlantoaxial joint of cervical spine. Atlantoaxial involvement of the cervical spine result in compressive myelopathy and neurologic dysfunction. Rheumatoid arthritis does not affect thoracic and lumbar spine except in unusual circumstances. Reference: Harrison's Principles of Internal Medicine 18e chapter 321.